Tumor marker for seminoma testis is
1. Alfa - fetoprotein
2. Carcinoembryonic antigens
3. Alpha HCG
4. Lactate dehydrogenase

Correct answer: 4. Lactate dehydrogenase

Explanation: Ans. (d) Lactate DehydrogenaseRef Surgery Sixer 3rd Edition Page 795Tumor markers in testicular cancers:* Beta HCG - Concentration is increased in Both Seminoma and Non Seminoma.* AFP - Concentration is increased in only non seminoma.* LDH - It is increased in both seminoma and non seminoma, but not specific.